Which is not a tumor Suppressor gene-
1. WT-1
2. RB
3. P53
4. RAS 902

Correct answer: 4. RAS 902

Explanation: Harshmohan textbook of pathology 7th edition. Tumor suppressor gene RB, p53, TGFbeta and its receptors, A PC and beta catenin proteins, BRCA 1 and 2, VHL, WT 1and 2, NF 1 and 2. RAS is a proto oncogene code for growth factor TGFalpha..